Conservative management of placenta previa was advocated by _________
1. Cadwell and Moloy
2. Priscilla White
3. Macafee and Johnson
4. Sher and Page

Correct answer: 3. Macafee and Johnson

Explanation: Conservative management for placenta previa was advocated by Macafee and Johnson. The aim is to continue pregnancy for fetal maturity without compromising maternal health. Prerequisites: Availability of blood transfucion whenever required Facilities for Cesarean section should be available throughout 24 hours. Suitable cases for expectant management for placenta previa: Mother in good health (Hb >/= 10g%, hematocrit >/= 30%) Duration of pregnancy <37 weeks No active vaginal bleeding Fetal well-being is assured (USG) Conduct of expectant treatment: Corticosteroids for fetal lung maturity if <34 week Bed rest Hb, Blood grouping and urine for protein Inspection of vulval pads, fetal surveillance with USG Supplementary hematinics Rh immunoglobin should be given to all Rh-negative (unsensitized) women Other options: Caldwell and Moloy: Classification of Pelvis Sher and Page: Grading of Abruptio placentae Priscilla White: Classification of diabetes in pregnancy. Other named classification/regime in obstetrics Clarke's: Classification of heart disease basedd on maternal mortality Lytic Cocktail: Treatment of convulsions in eclampsia Ref: DC Dutta's Textbook of Obstetrics 8th edition Pgno: 290